Endogenous triglycerides in plasma aremaximally carried in -
1. VLDL
2. Chylomicrons
3. LDL
4. HDL

Correct answer: 1. VLDL

Explanation: Ans. is 'a' i.e., VLDL